Rhinolalia clausa is associated with all of the following except
1. Palatal paralysis
2. Adenoids
3. Nasal polyps
4. Allergic rhinitis

Correct answer: 1. Palatal paralysis

Explanation: HYPONASALITY (RHINOLALIA CLAUSA) It is lack of nasal resonance for words which are resonated in the nasal cavity, e.g. m, n, ng. It is due to blockage of the nose or nasopharynx. Ref:- Dhingra; pg num:-315